All of the following cell types contain the enzyme telemerase which protects the length of telomeres at the end of chromosomes, except:
1. Germinal
2. Somatic
3. Hemopoietic
4. Tumor

Correct answer: 2. Somatic

Explanation: B i.e. SomaticTelomerase is a multisubunit RNA containing complex related to viral RNA- dependent DNA polymerase (reverse transcriptase), the enzyme which is responsible for telomere synthesis & thus for maintaining the length of telomereQ.Telomerase, a RNA dependent DNA polymerase (reverse transcriptase), is the enzyme responsible for telomere synthesis and thus for maintaining the length of telomereQ. Germinal (germ line), cancer and hemopoetic stem cellsQ with telomerase activity do not under go cellular aging and apoptosis (death). Whereas, somatic cells without telomerase activity undergo cellular aging and death after 40-60 replication cycles d/t critical shortening of telomere.